Tyrosine is involved in the synthesis of?
1. Melanin
2. Thyroxine
3. Epinephrine and norepinephrine
4. All of the above

Correct answer: 4. All of the above